Fatty liver is due to excessive accumulation of
1. Triacylglycerols
2. Phospholipids
3. Cholesterol
4. Free fatty acids

Correct answer: 1. Triacylglycerols

Explanation: Imbalance in the rate of Triacylglycerol Formation & Export Causes Fatty Liver For a variety of reasons, lipid--mainly as triacylglycerol--can accumulate in the liver. Extensive accumulation is regarded as a pathologic condition. Nonalcoholic fatty liver disease (NAFLD) is the most common liver disorder worldwide. When the accumulation of lipid in the liver becomes chronic, inflammatory and fibrotic changes may develop leading to nonalcoholic steatohepatitis (NASH), which can progress to liver diseases including cirrhosis, hepatocarcinoma, and liver failure. Reference: Harper; 30th edition; Page no: 260